Which of the following defines relation between quality assurance (QA), quality control (QC), internal quality assurance (lQA) & external quality assurance (EQA)
1. QA = QC + IQA + EQA
2. QC = QA + IQA - EQA
3. QC = QA + IQA + EQA
4. QA = QC + IQA - EQA

Correct answer: 1. QA = QC + IQA + EQA

Explanation: QUALITY ASSURANCE: (QA) A programme designed to monitor and evaluate the ongoing and overall quality of the total testing process, including preanalytical analytical and post analytical phases of testing QUALITY CONTROL: (QC) A process in the laboratory designed to monitor the analytical phase of testing procedure to ensure that the tests are working properly